The most common benign tumour of the orbit is
1. Haemangioma
2. Optic nerve glioma
3. Benign-mixed tumour
4. Meningioma

Correct answer: 1. Haemangioma

Explanation: Vascular tumours : Vascular tumours are the most common primary benign tumours of the orbit. These can be either haemangiomas or lymphangiomas. Haemangiomas are further divided into two types -- capillary and cavernous. Ref:- A K KHURANA; pg num:-393